1 DALY means -
1. 1 year of disease free life
2. 1 lost year of healthy life
3. 1 month of bedridden life
4. None of these

Correct answer: 2. 1 lost year of healthy life

Explanation: Ans. is 'b' i.e., 1 lost year of healthy life Disabilitv-adiusted life years (DALYJo DALY is a measure of:-i) The burden of disease in a defined populationii) The effectiveness of interventionso It expresses years lost to premature death and years lived with disability adjusted for the severity of the disabilityo That means, DALY measures both mortality and disability together (in contrast to sullivan's index which is related to disability only)o One DALY is one lost year of healthy life.o Japanese life expectancy statistics are used as a standard for measuring premature death, as Japanese have the longest life expectancy.